Which of the following antidotes is used for calcium channel blockers overdose?
1. Atropine
2. Calcium gluconate
3. Adrenaline
4. Digoxin

Correct answer: 2. Calcium gluconate

Explanation: Ans. (B) Calcium gluconate(Ref: Harrison 17th/e p35)Treatment of Calcium channel blocker poisoning*Calcium and glucagon for hypotension and symptomatic bradycardia.*Dopamine, epinephrine, norepinephrine, atropine, and isoproterenol are less often effective but can be used adjunctively.*Amrinone, high-dose insulin (with glucose and potassium to maintain euglycemia and normokalemia), electrical pacing, and mechanical cardiovascular support for refractory cases